CNS affection of a local anesthetic agent leads to?
1. Convulsion
2. Perioral numbness
3. Depression
4. All of the above

Correct answer: 4. All of the above

Explanation: Ans is 'd' i.e. All of the above Manifestations of local anesthetic toxicityA. Early symptoms (Prodrome)Circumoral numbness, dizziness, tongue paresthesia, restlesness, tinnitus, agitation.B. CNS symptoms These are biphasic i.e. excitation (convulsions, restlessness, agitation 8c tinnitus), followed by depression (drowsiness, disorientation, respiratory depression, unconciousness).C. Cardiovascular manifestationshypotension, cardiac arrest, coma